Hyperbaric oxygen is given in the treatment of:
1. Nerve gas
2. CO2 poisoning
3. HCN poisoning
4. CO poisoning

Correct answer: 4. CO poisoning

Explanation: Ans. CO poisoning